The blobs of the visual cortex are associated with
1. Ocular dominance
2. Orientation
3. Color processing
4. Saccadic eye movements

Correct answer: 3. Color processing

Explanation: The visual cortex has six layers. The axons from the LGB neurons end on pyramidal cells in layer 4 which in turn project primarily to more superficial layers (layers 2 and 3). These layers contain 'clusters' of cells, called blobs which contain high concentration of the mitochondrial enzyme cytochrome oxidase. These are concerned with colour vision.Ref: Textbook of physiology, Dir. Prof. AK Jain, 5th edition